Treatment of choice for Kawasaki disease -
1. Ig immunoglobulin
2. Steroid
3. Azathioprine
4. Not recalled

Correct answer: 1. Ig immunoglobulin

Explanation: Ans. is 'a' i.e., Ig immunoglobulin Intravenous immunoglobulin is the treatment of choice for Kawasaki disease Q.The mechanism of action of IVIg, in Kawasaki disease is unknown but treatment results in rapid deference and resolution of clinical signs of illness in most patients.Treatment of Kawasaki diseaseAcute stageIntravenous immunoglobulin with aspirin.Convalescent stageAspirin 3-5 mg/kg once daily orally until 6-8 week illness onset.Long-term therapy for those with coronary abnormalitiesAspirin 3-5 mg/kg once daily orally+- dipyridamole 4-6 mg/kg/24 hr, divided in two-three doses orally.Acute coronary thrombosisPrompt fibrinolytic therapy with tissue plasminogen activator, streptokinase or urokinase under supervision of cardiologistIVIG reduces the prevalence of coronary disease from 20-25% in children treated with aspirin alone to 2- 4% in the children treated with IVIG and aspirin within the first 10 days of illness.Also KnowUse of corticosteroid in Kawasaki diseaseUsed in patient who have persistent fever despite 2 doses of IVIG.KAWASAKI DISEASEKawasaki disease is generally divided into three clinical phase's acute febrile phase?Characterized by high spiking fever, remittent and unresponsive to antibioticsFever lasts for 1-2 weeks.Subacute phase? This phase is associated with desquamation Q, thrombocytosis, development of coronary aneurysms and the highest risk of sudden death.Convalescent phase Q:This phase begins when all clinical signs of illness have disappeared and continues until the ESR returns to normal, approximately 6-8 weeks after illness.